Ifosfamide belongs to which group of anticancer drugs:
1. Alkylating agents
2. Antimetobolites
3. Mitotic inhibitors
4. Topoisomerase inhibitors

Correct answer: 1. Alkylating agents

Explanation: Alkylating agents